A 32 year old male presents with a laceration he sustained after stepping on broken glass at the beach. The examination reveals an 8cm cut on the medial plantar aspect of the left foot. Which peripheral nerve block is appropriate?
1. Saphenous nerve
2. Sural nerve
3. Posterior tibial nerve
4. Superficial peroneal nerve

Correct answer: 3. Posterior tibial nerve

Explanation: Posterior tibial nerve * The posterior tibial nerve innervates the sole of the foot. To perform a peroneal nerve block, 1 percent lidocaine is injected into the subcutaneous tissue lateral to the posterior tibial artery at the upper border of the medial malleolus. * None of the other nerves listed supply the plantar surface of the foot. The saphenous nerve provides sensation to the skin over the medial malleolus. The sural nerve supplies the lateral foot and fifth toe. * The superficial peroneal nerve innervates the dorsum of the foot and the other toes, except the adjacent sides of the first and second toes, which derive sensation from the deep peroneal nerve.